Which hormone is responsible for acne -
1. Estrogen
2. Thyroid
3. Testosterone
4. Gonadotropins

Correct answer: 3. Testosterone

Explanation: Ans. is 'c' i.e., TestosteronePredisposing factors for Acne vulgariso Genetic factorso Hormones - Androgens, glucocorticoids,o Psychological stress and depression,o Environmental factors - High temperature & humidity,o Cosmetics - Containing lenolin, petroleum, vegetable oils,o Infection - Propionibacterium, Pityrosporum, Staph, epidermidis.o Menstural cycle - Premenstural aggravation,o Hyperkeratosis of pilosebaceous ostia.o Drugs - Antepileptics (Carbamazepine, phenytoin, phenobarbitone), antitubercular (INH, rifampin, ethionamide), antidepressants, cyclosporine,Vitamin B12, Cough syrups containing halogens (Iodides, bromides).